Commonest type of carcinoma with gallstones is
1. Adenocarcinoma
2. Anaplastic carcinoma
3. Squamous cell carcinoma
4. Transitional cell carcinoma

Correct answer: 1. Adenocarcinoma

Explanation: Histological types of gallbladder carcinoma Diffuse infiltrative : MC type Nodular or mass forming Papillary : Exhibits polypoid or cauliflower appearance and have best prognosis Adenocarcinoma : MC histological subtype of CA GB associated with gallstones Ref: Sabiston 20th edition Pgno : 1512-1514